Not a defence mechanism -
1. Derailment
2. Represession
3. Distortion
4. Undoing

Correct answer: 1. Derailment